Most common type of breech presentation at term is:-
1. Frank
2. Complete
3. Incomplete
4. Footling

Correct answer: 1. Frank

Explanation: Frank breech is the most common type of breech frank breech presentation- the lower extremities are flexed at the hips and extended at the knees, and thus the feet lie in close proximity to the head.